MC retained foreign body intraocularly-
1. Airgun pellets
2. Iron
3. Glass
4. Silver

Correct answer: 2. Iron

Explanation: *The foreign bodies most likely to penetrate and be retained in the Eye are minute chips of iron or steel (accounting for 90% all foreign bodies in industry). Ref: Parson 22nd/e p.385